Which of the following CSF finding is consistent with TB meningitis?
1. High sugar + low protein
2. High sugar + high chloride
3. Low sugar + high protein and lymphocytosis
4. Low sugar + normal protein

Correct answer: 3. Low sugar + high protein and lymphocytosis

Explanation: CSF findings consistent with TB meningitis are : yellowish in appearence, elevated opening pressure, increased cell count predominantly lymphocytes, low glucose (20-40mg/dl) and elevated protein levels (1 -5 g/l) . Reference: Harrison's Principles of Internal Medicine 18th edn chapter 381.